Fosphenytoin route of administration -
1. Intravenous
2. Subcutaneous
3. Oral
4. Intradermal

Correct answer: 1. Intravenous

Explanation: Ans. is 'a' i.e., Intravenous Fosphenvtoin:o Water soluble prodrug of phenytoino Used in status epilepticus patientso It is available as intravenous injection. It is less damaging to intima compared to phenytoin, can be injevted at a faster rate of 150 mg/ min, can be used in glucose solution drip,o Its infusion requires ECG monitoring.